Bronchopulmonary segment is supplied by ?
1. Primary bronchus
2. Secondary bronchus
3. Tertiary bronchus
4. Principal bronchus

Correct answer: 3. Tertiary bronchus

Explanation: Ans. is 'c' i.e., Tertiary bronchusIt is supplied independently by a segmental (tertiary) bronchus and a tertiary branch of the pulmonary artery.